Neonate of a hyperthyroid mother can present with all excepts:
1. Goitrous thyrotoxicosis
2. Goitrous hypothyroidism
3. Non goitrous hypothyroidism
4. None of the above

Correct answer: 4. None of the above

Explanation: Fetal /Neonatal complications: In untreated hyperthyroid mother includes LBW,IUGR, prematurity, stillbirth, hyperthyroidism, hypothyroidism, increased perinatal morbidity and mortality. Thyroid simulating antibodies cross the placenta and produce neonatal thyrotoxicosis with increased Neonatal death. The risk is increased if the anti thyroid drug is stopped late in pregnancy or following surgery. Ref: ditta 9th edition; page269